A girl for chronic ear discharge, pain on ocular movements and vertigo underwent mastoidectomy. There was no relief post-operatively and continuous purulent ear discharge was seen. Patient also had sensorineural hearing loss. The most probable diagnosis would he:
1. Suppurative labyrinthitis
2. Apical petrositis
3. Serous labyrinthitis
4. Lateral sinus thrombophlebitis

Correct answer: 2. Apical petrositis

Explanation: Ans. b. Apical petrositis